Time taken for capacitation is:
1. 2 hrs
2. 3 hrs
3. 5 hrs
4. 7 hrs

Correct answer: 4. 7 hrs

Explanation: Ans. is d, i.e. 7 hrsProcessTime taken* Liquefaction time* 20-30 minutes* Time taken by sperms to reach fallopian tube* 2 minutes* Capacitation time* 7 hours